Osmotic pressure can be calculated by using
1. Bernoulli's law
2. Van't hoff law
3. Ohm's law
4. Poiseulle's law

Correct answer: 2. Van't hoff law

Explanation: Osmotic pressure is calculated by van hoofs rule. (REF: GANONG'S REVIEW OF MEDICAL PHYSIOLOGY, PAGE NO - 7)